Dermatophyte affecting the hair, nail, and skin is
1. Trichophyton
2. Epidermophyton
3. Microsporum
4. Malassezia

Correct answer: 1. Trichophyton

Explanation: The three genera of medically important dermatophytes (literally, skin-plants) are Epidermophyton, Microsporum, and Trichophyton.--Trichophyton: infects skin, hair, and nails-- Microsporum: infects hair and skin-- Epidermophyton: infects nails and skinRef: Sherris Medical Microbiology; 6th edition; Chapter 5; Medically Relevant Fungi; Page no: 335